A dermatome is used:
1. To remove scar tissue
2. To harvest skin grafts
3. To abrade skin which is pigmented
4. For pairing of lacerated soft tissue

Correct answer: 2. To harvest skin grafts